Acculturation is defined as -
1. Loss of culture sense
2. Isolation of two cultures
3. Fading away of culture
4. Cultural contact

Correct answer: 4. Cultural contact

Explanation: Ans. is 'd' i.e., Cultural contact * Acculturation means "Culture contact", when there is contact between two peoples with different types of culture. There is diffusion of culture in both ways.